3 ml of LA solution contains 2% lignocaine with 1:100000 epinephrine how many milligrams of each are present in the solution?
1. 6mg lidocaine, 0.3mg epinephrine
2. 60 mg lidocaine, 0.03 mg epinephrine
3. 6 mg lidocaine, 0.03 mg epinephrine
4. 600 mg lidocaine, 0.3 mg epinephrine

Correct answer: 2. 60 mg lidocaine, 0.03 mg epinephrine

Explanation: Learn the following facts, and you can solve all numerical of LA.

% (per cent--'cent' means 100) means g/100ml, so 2% lignocaine means 2g/100ml, or 2000mg/100ml of solution = 20mg/ml.
1 cartridge contains around 2 ml solution. 
Thus, 3 ml contains 60mg lidocaine. 

 

1 in 1 lakh adrenaline means 1g in 1 lakh ml or 1000mg Adr in 1,00,000 ml solution = 1000/100000 = 0.01mg/ml
Thus, 3ml contains 0.03mg adrenaline.

To know:

Safe dose of LA (with or without Adr) = 7mg/kg body weight.
Safe dose of Adr in healthy patient = 0.2 mg
Safe dose of Adr in cardiac patient = 0.04 mg